Penetrating injury to NECK is defined as
1. More than 2 cm deep injury
2. Injury to any internal neck organ
3. Violation of platysma
4. Sharp instrument

Correct answer: 3. Violation of platysma

Explanation: C i.e. Violating platysma Penetrating neck trauma involves a gun shot or sharp object (stab, puncture wound & impalement injuries) penetrating the skin and volating the platysma layer of neckQ